Ruptured tendon is most commonly seen in -
1. Stab injury
2. Soft Tissue tumour
3. Overuse
4. Congenital defect

Correct answer: 3. Overuse

Explanation: Tendon rupture is mainly seen in overuse. Example, ACHILLES TENDON RUPTURE :A ripping or popping sensation is felt, and often heard, at the back of the heel. This most commonly occurs in sports requiring an explosive push-off: squash, badminton, football, tennis, netball. The patient will often report having looked round to see who had hit them over the back of the heel, the pain and collapse are so sudden. REF:Apley's system of orthopaedics- 9th edn - pg no 614.